Death in Poliomyelitis is due to:
1. Infection
2. Neurogenic shock
3. Cardiac failure
4. Respiratory paralysis

Correct answer: 4. Respiratory paralysis

Explanation: Ans. is 'd' i.e., Respiratory paralysisParalytic polio: About 1 percent of polio cases can develop into paralytic polio. Paralytic polio leads to paralysis in the spinal cord (spinal polio), brainstem (bulbar polio), or both (bulbospinal polio). It's rare for full paralysis to develop. Less than 1 percent of all polio cases will result in permanent paralysis. In 5 - 10 percent of the polio paralysis cases, the virus will attack the muscles that help you breathe and cause death.